Dignostic sign of a fracture -
1. Abnormal mobility at fracture site
2. Pain at the fracture site
3. Tenderness
4. Swelling

Correct answer: 1. Abnormal mobility at fracture site

Explanation: Ans. is 'a' i.e., Abnormal mobility at fracture site Relavance of clinial signs of a fractureUnfailing signs (diagnostic or pathognomonic)o Abnormal mobilityo CrepitusReliable signso Tendernesso ShorteningImportant signso Bruiseo Swellingo Loss of functiono DeformityLate or inconsistent signso Blisterso Ecchymosiso Swelling due to callus